Restrinction Endonucleas function --> true about:
1. Cut both the strands of ds DNA
2. The cut ends produced are sticky
3. The cut ends produced are blunt
4. All

Correct answer: 4. All

Explanation: A i.e. Cut both strands of ds DNA; B i.e. Cut ends produced are sticky; C i.e. Cut end produced are blunt